A 36 year old patient presents to emergency with shock .His ECG shows ST elevation in lead 2 and lead 3 and avF. What is the most likely cause of shock
1. Papillary muscle rupture
2. Cardiac rupture
3. Right ventricular infarction
4. Septal perforation

Correct answer: 3. Right ventricular infarction

Explanation: ECG features  are suggestive of inferior wall MI . Right ventricular  infarction  presents as hypotension and shock.